The ureter lies against the anterior surface of which of the following muscles?
1. Crus of the diaphragm
2. Quadratus lumborum
3. Psoas major
4. Transversus abdominis

Correct answer: 3. Psoas major

Explanation: The ureter exits the renal pelvis at about the level of vertebra L2. As it descends along the posterior abdominal wall, it lies on the anterior surface of the psoas major. The psoas major muscle arises from the bodies of the lower lumbar vertebrae. The psoas major muscle is joined by the iliacus to form the iliopsoas muscle. The iliopsoas muscle then attaches to the lesser trochanter of the femur and is the major flexor of the hip.